Which of the following is associated with pauci-immune glomerulonephritis?
1. SLE nephritis
2. Anti-GBM glomerulonephritis
3. IgA nephropathy
4. Granulomatosis with polyangiitis (GPA)

Correct answer: 4. Granulomatosis with polyangiitis (GPA)

Explanation: Rapidly progressive glomerulonephritis (RPGN)/Crescentic glomerulonephritis is broadly divided into 3 categories: Anti-GBM glomerulonephritis - Linear glomerular IgG IF staining Goodpasture syndrome has anti-GBM lesion along with pulmonary hemorrhage Immune complex mediated glomerulonephritis - Glomerular immune complex localization with granular IF IgA nephropathy Fibrillary GN Membranous GN Type I and II MPGN Acute post-infectious GN Lupus nephritis Henoch-Schonlein purpura Pauci-immune glomerulonephritis - Paucity of glomerular IF immunoglobulin staining; Serology: +ANCA ANCA+ GN Microscopic polyangiitis Wegener granulomatosis (Granulomatosis with polyangiitis (GPA)) Churg-Strauss syndrome